Which is the most common malignant tumour seen in parotid gland ?
1. Adenoid Cystic
2. Warthin tumour
3. Mucoepidermoid carcinoma
4. Adenocarcinoma

Correct answer: 3. Mucoepidermoid carcinoma

Explanation: Ans. is 'c' i.e., Mucoepidermoid carcinoma Salivary and .tumorso Most common salivary gland tumor-Pleomorphic adenoma (mixed tumor)o Most Common benign Salivary gland tumor-Pleomorphic adenoma (mixed tumor)o Most Common malignant tumor of salivary gland-Mucoepidermod Carcinomao Most Common site of pleomorphic adenoma-Parotid glando Most common parotid tumor-Pleomorphic adenomao Most Common site of mucoepidermoid Carcinoma-Parotid glando Most Common site for acinic cell ca-Parotid glando Most Common site for adenoid cytic Carcinoma-Minor salivary glandso Multifocal and bilateral Salivary gland tumor-Warthin tumor and acinic cell tumoro Salivary gland tumor with tendency to invade perineural space-Adenoid cystic carcinomao Salivary gland tumor with worst prognosis-Adenoid cystic carcinomao Most malignant salivary gland tumor-Adenoid cystic carcinomao Most common salivary gland tumor in children-Hemangiomao Most common malignant salivary gland tumor in children-Mucoepidermoid carcinoma